Immune complex depostion is -
1. Type I HS
2. Type II HS
3. Type III HS
4. Type IV HS

Correct answer: 3. Type III HS

Explanation: Ans. is 'c' i.e., Type III hypersensitivity